Bonded retainers are popular in which area of dentition?
1. Lower anteriors
2. Lower posteriors
3. Upper anteriors
4. Upper posteriors

Correct answer: 1. Lower anteriors